Derivative of dorsal mesogastrium ?
1. Lesser omentum
2. Greater omentum
3. Falciform ligament
4. Triangular ligament

Correct answer: 2. Greater omentum

Explanation: Greater omentum